Capsule of Bacillus anthracis is formed of:
1. Polysaccharide
2. Lipopolysaccharide
3. Polypeptide
4. Long chain fatty acids

Correct answer: 3. Polypeptide

Explanation: Ans. is. 'c' i. e. Polypeptide